Which of the following hardness test is not used for brittle material:
1. Rockwell test.
2. Brinell test.
3. Both.
4. None.

Correct answer: 3. Both.

Explanation: HARDNESS TEST

Knoop hardness test
Vicker’s/diamond pyramid test

Not for BRITTLE material 

Rockwell
Brinells